All except are features plummer vinson syndrome: (Repeat)
1. Hypertrophy of oral mucosa
2. Dysphagia
3. Glossitis
4. Iron deficiency anemia

Correct answer: 1. Hypertrophy of oral mucosa

Explanation: Ans: A (Hypertrophy of oral mucosa) Ref: Harrison's Principles of Internal Medicine, 18edExplanation:Plummer-Vinson syndrome (PVS)Also called Paterson-Brown-Kelly syndrome or sideropenic dysphagiaIt is PremalignantPresents as a triad ofDysphagiaEsophageal websIron deficiency anemiaIt most usually occurs in postmenopausal women.Clinical featuresBurning sensation with the tongue and oral mucosaAtrophy of lingual papillae produces a smooth, shiny, red dorsum of the tongue.DysphagiaPainWeaknessOdynophagiaAtrophic glossitisAngular stomatitisThe condition is associated with koilonvchia, glossitis, cheilitis, and splenomegaly.Hemogram - Microcytic hypochromic anemia suggestive of Iron deficiencyIncreased risk of squamous cell carcinoma of Esophagus